Mania is characterized by -a) Paranoid delusionb)  Loss of orientationc) High self esteemd) Loss of insight
1. abc
2. ad
3. bc
4. acd

Correct answer: 4. acd

Explanation: Paranoid delusions (delusion of persecution) may occur secondary to the delusions of persecution (e.g. I am so great that people are against me).
Manic patients have high self esteem.
Insight is absent.
Patient is alert & well oriented.